Which of the following drugs inhibit thromboxane A2 synthase?
1. Dazoxiben
2. Daltroban
3. Sultroban
4. Lamifiban

Correct answer: 1. Dazoxiben

Explanation: Ans. is 'a' i.e., Dazoxiben * Dazoxiben is an orally active thromboxane synthase inhibitor. It has shown a significant clinical improvement in patients with Raynaud's syndrome.* Daltroban and sultroban are TXA2 receptor antagonists.